All about Abrus precatorius seeds are true, except
1. Also called Indian liquorice
2. Active principle is N-methyl tryptophan
3. Inhibits protein synthesis of cells
4. Symptoms resemble cobra snake bite

Correct answer: 4. Symptoms resemble cobra snake bite

Explanation: The plant is found all over India. Though all parts of the plant are poisonous, the seeds are commonly used as poison. They are of the size of a small pea and have an average weight of 120 mg. They are egg-shaped, having bright scarlet colour with a large black spot at one pole. Seeds may be white with black spot, all black, yellow or blue. The seeds contain an active principle abrin, a thermolabile toxalbumin and its actions resemble those of viperine snake bite with intense local symptoms and haemorrhages followed by general symptoms. In addition to this, seeds contain poisonous proteins, fat-splitting enzymes, abrussic acid, haemagglutinin and a quantity of urease. Ref: Krishan Vij textbook of forensic medicine, 5th edition pg : 477